Average incubation period of AIDS is:
1. 1 year
2. 3 years
3. 5 years
4. 10 years

Correct answer: 4. 10 years

Explanation: Ans. D : 10 years The median interval from infection to the development of symptoms is around 7-10 years, although subgroups of patients exhibit 'fast' or 'slow' rates of progression.